Broad and short type of face is known as
1. Mesoprosopic
2. Euryprosopic
3. Leptoprosopic
4. None of above

Correct answer: 2. Euryprosopic